For an arterial blood content of 20 mL oxygen per 100 mL blood and venous blood content of 15 mL oxygen per 100 mL of blood, how much oxygen is transferred from blood to tissue if the blood flow is 200 mL/min?
1. 5 mL/min
2. 10 mL/min
3. 15 mL/min
4. 20 mL/min

Correct answer: 2. 10 mL/min

Explanation: Ans. B. 10 mL/minThe amount of oxygen exchanged is equal to the product of the blood flow and the arterial venous oxygen content difference: 200mL/minx(20mL/100mL-15mL/100mL)=10mL/min.